Bleeding from nipple is seen in -a) Fibroadenomab) Duct ectasiac) Ductal papillomad) Chronic breast abscesse) Ca. breast
1. ab
2. bc
3. acd
4. bce

Correct answer: 4. bce